Deep surface of hyoglossus is related to
1. Lingual nerve
2. Hypoglossal Nerve
3. Submandibular Ganglion
4. Glossopharyngeal nerve

Correct answer: 4. Glossopharyngeal nerve